Aspirin is contraindicated in?
1. Fever
2. Peptic ulcer
3. Unstable angina
4. Myalgia

Correct answer: 2. Peptic ulcer

Explanation: Ans. is 'b' i.e., Peptic ulcer Contraindications of Aspirin Peptic ulcer Prostaglandin has cytoprotective function for gastric mucosa by inhibiting acid secretion and promoting secretion of mucus. Aspirin inhibits synthesis of cytoprotective PG -3 bleeding & perforation may occur. Children with chicken pox & influenza Aspirin can cause Reye's syndrome (hepatic encephalopathy). Acknowledging this aspirin should not be given to children < 12 years, e.g. in JRA. Bleeding tendencies By its antiplatelet action, aspirin can exacerbate bleeding. Chronic liver disease Long-term therapy with high dose aspirin can cause insidious onset hepatic injury.